DNA from RNA is synthesized by-
1. Topoisomerase
2. Helicase
3. Reverse transcriptase
4. DNA dependent DNA polymeraze

Correct answer: 3. Reverse transcriptase

Explanation: RNA can be converted to DNA by reverse transcriptase. This DNA is cDNA (complementary DNA). Reverse transcription Synthesis of DNA using RNA as template Enzyme : RNA dependent DNA Polymerase Involved in Retroviruses : HIV virus Transposons/jumping genes Telomerase